Tumors most amenable (cured with) to chemotherapy.
1. Chorio Ca
2. Embryonal rhabdomyosarcoma
3. Hepatocellular Ca
4. Thyroid Ca

Correct answer: 1. Chorio Ca

Explanation: Treatment of low-risk gestational trophoblastic neoplasia (GTN) (invasive mole or choriocarcinoma) may include the following: Chemotherapy with one or more anticancer drugs. Treatment is given until the beta human chorionic gonadotropin (b-hCG) level is normal for at least 3 weeks after treatment ends Ref Harrison 20th edition pg 540